Neurolathyrism is due to -
1. Argemone oil
2. Jhunjhunia
3. Khesari dal
4. None

Correct answer: 3. Khesari dal

Explanation: Ans. is 'c' i.e., Khesari dal DiseaseToxinAdulterantLathyrismEpidemic DropsyEndemic AscitesAfla toxicosisErgotismBOAASanguinarinePyrrolizidine alkaloidsAflatoxinClavine alkaloidsKhesari Dal (Lathyrus sativus)Argemone mexicana (oil)Crotolaria seeds (Jhunjhunia)Aspergillus flavus/parasiticusClaviceps fusiformis